Not true about septal Hematoma
1. Leads to Crooked nose
2. Leads to septal abscess
3. occurs due to trauma
4. Is B/L condition

Correct answer: 1. Leads to Crooked nose

Explanation: Leads to saddle nose if not treated.